Sudden cardiac death may occur in all of the following, except:
1. Dilated cardiomyopathy
2. Hypertrophic cardiomyopathy
3. Eisenmenger's syndrome
4. Ventricular septal defect

Correct answer: 4. Ventricular septal defect

Explanation: Among the options provided VSD has the least chance of causing sudden cardiac death. All other conditions are associated with increased risk of sudden cardiac death. Ref: Harrison's Principles of Internal Medicine, 16th Edition, Page 1619.